Hypomagnesemia is associated with which of the following-
1. Alcoholism
2. Hypothyroidism
3. Both
4. None

Correct answer: 1. Alcoholism

Explanation: A rising blood concentration of ethanol directly impairs tubular magnesium reabsorption, thus leading to hypomagnesemia. Hyperthyroidism is a cause for hypomagnesemia and hypothyroidism causes hypermagnesemia. Reference : page 2462-63 Harrison's Principles of Internal Medicine 19th edition